The drug of choice for persistent unstable ventricular arrhythmia is -
1. Procainamide
2. Calcium gluconate
3. Amiodarone
4. Digoxin

Correct answer: 3. Amiodarone